All are seen in Keratoconus EXCEPT
1. Keyser Fleischer Ring
2. Progressive vision loss due to increasing myopia and irregular astigmatism
3. Scissoring reflex in retinoscopy
4. Munson sign Positive

Correct answer: 1. Keyser Fleischer Ring

Explanation: Fleischer ring is seen in keratoconus and not KF rings.
KF ring is seen in Wilsons disease (Chalcosis) KERATOCONUS.
Keratoconus (Conical cornea) is a non-inflammatory bilateral (85%) ecstatic condition of the cornea in its axial part.

Clinical Features

Patient presents with a defective vision due to progressive myopia and irregular astigmatism, which does not improve fully despite correction with glasses.
Slit lamp examination may show thinning and ectasia of the central cornea, opacity at the apex and Fleischer’s ring at the base of the cone, folds in Descemet's and bowman's membranes.
Vogt lines: Very fine, vertical, deep stromal striae which disappear with external pressure on the globe are a peculiar feature.
On retinoscopy a yawning reflex (scissor reflex).
Munsen’s sign: localized bulging of the lower lid when the patient looks down is positive in late stages.